Which of the following does not contain fat on mammography?
1. Post – traumatic cyst
2. Hamartoma
3. Seborrhea keratosis
4. Galactocele

Correct answer: 3. Seborrhea keratosis

Explanation: Fat containing breast lesions are Lipoma, Galactocele, Hamartoma, Traumatic lipid cyst (fat necrosis), oil cyst.